17 D vaccine is used for the prevention and control of-
1. Yellow fever
2. Japanese encephalitis
3. Haemorrhagic fever
4. Dengue

Correct answer: 1. Yellow fever